Prevalence is a:
1. Rate
2. Ratio
3. Proportion
4. None of the above

Correct answer: 3. Proportion

Explanation: Tools of measurement in epidemics: - Rate = x 1000/ 10000/ 100000 ; a is part of b - Ratio = a/b ; a is not a part of b - Proportion = x 100 = % ; a is part of b Prevalence = No. of all current cases of a disease at a time /Estimated total population at that time X 100 Hence, Prevalence is a proportion (Prevalence is NOT a Ratio): Numerator is a part of denominator & is always expressed in percentage. Incidence is rate.